This patient, previously healthy, came now with dyspnoea and low grade fever since 4 months. His lungs are clear. JVP is normal. ECG showed low voltage complexes. What is the possible diagnosis?
1. Tuberculous pericardial effusion
2. Rheumatic Mitral stenosis
3. Syphilitic Aortic aneurysm
4. Hypertrophic cariomyopathy

Correct answer: 1. Tuberculous pericardial effusion